RETRAINING converts negative child into:
1. More negative.
2. Positive.
3. Both.
4. None.

Correct answer: 2. Positive.